Graph to compare two quantitative data is?
1. Histogram
2. Scatter diagram
3. Line Diagram
4. Frequency curve

Correct answer: 2. Scatter diagram

Explanation: - scatter maps show the relationship between two variables - if dots cluster round a straight line, it shows evidence of relationship of a linear nature. If there is no such cluster, it is probable that there is no relationship between the variables. Reference : Park's textbook of preventive and social medicine, 23rd edition, pg no:847